Oddities of speech, mannerism and clothing with magical thinking is seen in which type of personality disorder
1. Schizoid
2. Paranoid
3. Schizotype
4. Borderline

Correct answer: 3. Schizotype

Explanation: Oddities of speech, and magical thinking influencing behavior are characteristic of schizotypal personality.